Pathognomonic sign of traumatic fracture is
1. Redness
2. Swelling
3. Crepitus
4. Tenderness

Correct answer: 3. Crepitus

Explanation: C i.e. Crepitus Fracture is a break in structural continuity of bone. It may be no more than a crack, a crumpling or a splintering of the cortex; most often the break is complete & the bone fragments are displaced.